A person w anders in public places by removing his clothes it is called -
1. Voyeurism
2. Frotterurism
3. Exhibitionism
4. Unidinism

Correct answer: 3. Exhibitionism

Explanation: Ans. is 'c' i.e., Exhibitionism o Exhibitionism is willful and intentional exposure of genitalia in public place to obtain sexual pleasure,o Frotteurism : is contact with another person in order to obtain sexual gratification. Sexual gratification by rubbing private parts against a female body in crowd. It is punishable under Section 2901.P. C., with fine upto Rs 200.o Unidinism: is sexual pleasure is obtained by witnessing the act of urination by some one of same or opposite sex.o Voyeurism = scotophilia^ peeping tom: sexual gratification is obtained by looking at the sexual organs of other persons, watching the act of sexual intercourse, or witnessing undressing by a women.